Stimulus for stretch reflex
1. Passive stretch
2. Active stretch
3. Both
4. None

Correct answer: 1. Passive stretch

Explanation: The stretch reflex or myotatic reflex refers to the contraction of a muscle in response to its passive stretching by increasing its contractility as long as the stretch is within physiological limits. (Ref: